50 year old male with scrotal pain for 2 days, pain decreases with elevation of testis. Clinical diagnosis is:
1. Torsion
2. Epididymoorchitis
3. Hernia
4. Hydrocele

Correct answer: 2. Epididymoorchitis

Explanation: Ans. (b) EpididymoorchitisRef: Bailey 26th Edition, Page 1384* The sign demonstrated above is PREHN's SIGN* The sign is used to differentiate Orchitis and Torsion.* In Prehn's sign - Elevation of Testis reduces the pain in Orchitis.